Which of the following is of salivary gland origin?
1. Acinic cell carcinoma
2. Granular cell myoblastoma
3. Chondrosarcoma
4. All of the above

Correct answer: 1. Acinic cell carcinoma